Not seen in kwashiorkor –
1. Apathy
2. Flaky paint dennatosis
3. Poor appetite
4. Increased albumin

Correct answer: 4. Increased albumin

Explanation: Albumin level is low in kwashiorkor, which results in generalized edema.
Other options are true regarding kwashiorkor.